Which of the following is not a sign of good attachment during breastfeeding
1. Mouth of the baby should be wide open
2. Part of areola should be in baby's mouth
3. Lower lip of baby should be everted
4. Chin of the baby should touch mother's breast

Correct answer: 2. Part of areola should be in baby's mouth

Explanation: Whole of areola should be in baby's mouth except a small part of upper areola which may be visible.